A major indication for orthognathic surgery before puberty is
1. Transverse deficiency of maxilla
2. Ankylosis of mandible
3. Prognathic mandible
4. Hyperdivergent facial pattern with anterior open bite

Correct answer: 2. Ankylosis of mandible